Mouse-nibbled vocal cord is seen in ?
1. TB
2. Leprosy
3. Laryngeal papilloma
4. Epiglottitis

Correct answer: 1. TB

Explanation: Tubercular laryngitis Tubercular laryngitis is almost always secondary to pulmonary lesions, mostly affecting males in middle age (20-40 years). Disease affects the posterior third of larynx more commonly than anterior part. The parts affected in descending order of frequency are :- i) Interarytenoid fold, ii) Ventricular band, iii) Vocal cords, iv) Epiglottis Clinical features Weakness of voice with periods of aphonia --> earliest symptoms. Hoarsness, cough, dysphagia (odynophagia) Referred otalgia Laryngeal examination in TB laryngitis Hyperaemia of the vocal cord in its whole extent or confined to posterior part with impairment of adduction is the first sign. Swelling in the interarytenoid region giving a mammilated appearance. Ulceration of vocal cord giving mouse-nibbled appearance. Superficial ragged ulceration on the arytenoids and interarytenoid region. Granulation tissue in interarytenoid region or vocal process of arytenoid. Pseudoedema of the epiglottis "turban epiglottis". Swelling of ventricular bands and aryepiglottic folds. Marked pallor of surrounding mucosa.